Poly 'A' tail attached at 3' end of mRNA helps in?
1. Unwinding of mRNA
2. Stabilization of mRNA
3. Polymerization of mRNA
4. Transcription of mRNA

Correct answer: 2. Stabilization of mRNA

Explanation: Ans. is 'b' i.e., Stabilization of mRNA At the 51-end, mRNA possesses a 7-methylguanosine triphosphate cap which helps in the recognition of mRNA in protein biosynthesis and it helps to stabilize the mRNA by preventing attack of 51-exonuclease. At its 31-end, there is a poly-A tail made up of several adenylate residues which stabilize mRNA by preventing attack of 31-exonuclease.